Leucocyte alkaline phosphatase (LAP) is raised in A/E-
1. Myelofibrosis
2. Essential thrombocythemia
3. Polycythemia
4. Chronic myeloid leukemia

Correct answer: 4. Chronic myeloid leukemia

Explanation: Ans. is 'd' i.e., Chronic myeloid leukemiao Low LAP score is seen in : -(i) CML(ii) Paroxysmal nocturnal hemoglobinuria(iii) Hematological neoplasma (rare)(iv) Myelodysplastic syndrome(v) Rare infections or toxic exposureo Myelofibrosis, polycythemia vera and essential thrombocytosis (thrombocythemia) are myeloproliferative disorders in which LAP score is increased.